A 45-year-old man presents with abdominal pain and hypertension. On physical examination, he is found to have an abdominal mass. Further workup confirms the diagnosis of adult polycystic kidney disease. Which of the following vascular complications is associated with this condition?
1. Arteriovenous fistula
2. Atherosclerotic aneurysm
3. Berry aneurysm
4. Luetic aneurysm

Correct answer: 3. Berry aneurysm

Explanation: Berry aneurysms, Occur in patients with adult polycystic kidney disease, Small saccular lesions that develop at the site of congenital weakness of cerebral arteries, especially those of the circle of Willis. Rupture of these aneurysms is the most common cause of subarachnoid hemorrhage. Arteriovenous fistulas are often secondary to trauma. Dissecting aneurysm is associated with hypertension or with diseases affecting the vascular media, most notably Marfan syndrome. Syphilitic (luetic) aneurysm is associated with tertiary syphilis.